The drug of choice in patients with Wolff-Parkinson-White syndrome with atrial fibrillation is
1. Digitalis
2. Procainamide
3. Verapamil
4. Adenosine

Correct answer: 2. Procainamide